Perception of objects with out stimulus is called:
1. Hallucination
2. Illusion
3. Delusion
4. Euthymia

Correct answer: 1. Hallucination

Explanation: Ans: A (Hallucination) Ref: Ahuja, 6th ed,p. 59Perception of objects without stimulus is hallucination.DelusionAre false unshakable beliefs which are not in keeping with the patients sociocultural and educational background and not amenable to reasoning.It is a disorder of thought.Delusions in the following conditions:Depression - nihilistic delusionDelirium - transient delusionSchizophrenia - delusion of persecution/ reference/control/infidelityMania - delusion of grandeurNote: Delusions are not seen in compulsive disorder, anxiety and dementia.HallucinationsFalse perception experienced without external stimulus to the sense organs.Auditory hallucinations are the commonest in non organic psychiatric disorders.Visual hallucinations are commonest in organic psychiatric disorders.Hallucinations is involuntary, does not depend on will of observer.It occurs in inner subjective space.It is vivid sensory perception.IllusionsIllusions are misconceptions of external stimuli